Pappu 2 yrs old boy presents in the causality with 11/0 sudden onset of respiratory difficulty & strider on ausculation .i,ed breath sound & wheeze on the side. The X-Ray shows opaque hamithorex what will be diagnosis-
1. Pnumothorax
2. Acute epiglottitis
3. Massive plural effusion
4. Foreign body aspiration

Correct answer: 4. Foreign body aspiration

Explanation: D i.e. Foreign body aspiration